The following that have significant drug interactions with digoxin except
1. Cholestyramine
2. Thiazide diuretics
3. Quinidine
4. Amlodipine

Correct answer: 4. Amlodipine

Explanation: (Ref KDT 6/e p499) Cholestyramine inhibits intestinalabsorption of digoxin. Thiazides result in hypokalemia and thus may precipitate digitalis toxicity by pharmacodynamic interaction. Quinidine and verapamil reduces the excretion of digoxin and thus may precipitate toxicity (pharmacokinetic interaction).